Before starting anti retroviral therapy, NACO recommends how many sessions of counselling:
1. 1
2. 2
3. 3
4. 4

Correct answer: 2. 2

Explanation: Ensuring good adherence to the treatment is imperative for the success of the national programme as well as for the prevention of drug resistance. To achieve this, counselling must start from the first contact visit by the clinical team and should include preparing the patient for treatment and providing psychosocial support through an identified guardian/treatment buddy and through support networks. All patients should undergo at least two counselling sessions before the initiation of ART. The period of investigations should be utilized for counselling and treatment preparation. All efforts should be made to trace patients who have defaulted or are lost to follow-up Ref: